In a child with phthisical eye of unknown etiology following possibility should be kept in mind:
1. Birth trauma
2. Still's disease
3. Retinoblastoma
4. Untreated congenital glaucoma

Correct answer: 3. Retinoblastoma

Explanation: Ans. Retinoblastoma